Which of the following statements about hemochromatosis is not true
1. Hypogonadism may be seen
2. Arthropathy may occur
3. Diabetes mellitus may develop
4. Dimercaprol is treatment of choice

Correct answer: 4. Dimercaprol is treatment of choice

Explanation: Characteristics of hereditary hemochromatosisThe liver is the first organ to be affected.Excessive skin pigmentation is present.Diabetes mellitus occurs in about 65% of patients.Cardiac involvement may be seen.Hypogonadism may occur Arthropathy may occur.TreatmentThe therapy of hemochromatosis involves removal of the excess body iron and supportive treatment of damaged organs. Iron removal is best accomplished by weekly or twice-weekly phlebotomy of 500 mL.An effective oral iron chelating agent, deferasirox, has recently become available but is still in clinical trials.Desferrioxamine, when given parenterally, remove 10-20 mg iron per day, which is much less than that mobilized by once-weekly phlebotomy.Ref: Harrison's 18/e p2312, 17/e p1764, 2433